During fixation of Bennett's fracture, which muscle hinders it?
1. Extensor pollicis brevis
2. Flexor pollicis brevis
3. Flexor pollicis longus
4. Abductor pollicis longus

Correct answer: 4. Abductor pollicis longus

Explanation: Bennett's fracture is difficult to maintain in a reduced position due to the pull of the Abductor pollicis longus. Bennett Fracture * Treatment Non-operative closed reduction & cast immobilization * Indications : non-displaced fractures technique * reduction maneuver with traction, extension, proration. and abduction Ref : Maheshwari and Mhaskar 9th ed pg 122